Typhoid oral vaccine is given -
1. 1, 3, 5 days
2. 1, 2, 3 days
3. 1, 2, 4 days
4. 1, 7, 14 days

Correct answer: 1. 1, 3, 5 days

Explanation: Typhoid oral vaccine:- Live attenuated Ty2 strain Lyophilised vaccine available as enteric coated capsules. Licensed for use in children more than 5 years. Administered on day 1,3,5 days. Protective immunity achieved 7 days after last dose. The recommendation is to repeat this series every 3 years for people living in endemic areas and every year for individual travelling from non endemic to endemic areas. {Reference: park's textbook of preventive and social medicine, 23rd edition, pg no.237}